A neonate while sucking milk can respire without difficulty due to
1. Small soft palate
2. High larynx
3. Small tongue
4. Small pharynx

Correct answer: 2. High larynx

Explanation: Q neonates have larynk at level of C2 - C3.
Q adults have larynx at level of C3,C4,C5,C6.